Which of the following part is NOT included in hypopharynx -
1. Pyriform sinus
2. Postcricoid region
3. Anterior pharyngeal wall
4. Posterior pharyngeal wall

Correct answer: 3. Anterior pharyngeal wall

Explanation: Clinically, hypopharynx is subdivided into three regions:-


The pyriform sinus
Post-cricoid region
The posterior pharyngeal wall